Cone of light focuses on which quadrant of tympanic membrane?
1. Anteroinferior
2. Posteroinferior
3. Anterosuperior
4. Posterosuperior

Correct answer: 1. Anteroinferior

Explanation: Ans. is 'a' i.e., Anteroinferior Cone of light Seen in anteroinferior quadrant of the tympanic membrane is actually the reflection of the light projected into the ear canal to examine it. This part reflects it because it is the only part of tympanic membrane that is approximately at right angles to the meatus. This difference in different part of the tympanic membrane is due to the handle of malleus which pulls the tympanic membrane and causes it to tent inside. Thus, the handle of malleus causes tenting and because of tenting the antero-inferior quardrant is at right angles to the meatus and thus reflects the light (leading to cone light).